The stye is other name of
1. Chalazion
2. Hordeolum internum
3. Hordeolum externum
4. None of the above

Correct answer: 3. Hordeolum externum

Explanation: (Refer: AK Khurana Comprehensive Ophthalmology, 6th edition, pg no.367)Acute infection of Zeis (Moll) gland - Stye (Hordeolum externum)Acute infection of the tarsal gland (Meibomian gland)- Hordeolum internumChronic infection of the tarsal gland (Meibomian gland)- Chalazion